In Parkinsonism, what is not present -
1. Tremors at rest
2. Past pointing
3. Akinesia
4. Rigidity

Correct answer: 2. Past pointing